Transgenic animals are:
1. Genetically modified organisms with a new heritable character
2. Serve as models for understanding the human diseases
3. Proteins produced by them are used as therapeutic agents
4. All the above

Correct answer: 4. All the above

Explanation: Transgenic animal Whose genome has been altered by the transfer of a gene from another species Genetically modified organisms with a new heritable character which serves as model for understanding human diseases. Proteins produced by transgenic animals are used as therapeutic agents.